Kawasaki disease is associated with all except -
1. Thrombocytopenia
2. Cervical lymphadenopathy
3. Red eye
4. Rash

Correct answer: 1. Thrombocytopenia

Explanation: In Kawasaki disease, there is thrombocytosis.